60 year old diabetic female presented with burning sensation to spicy food. Intraoral examination revealed multiple periodontal abscess and keratotic area in a lace pattern with occasional erosive areas inside the lace pattern.
Syndrome associated with this disease is
1. Down's syndrome
2. Grinspan syndrome
3. Peutzjeghers syndrome
4. Sjogren's syndrome

Correct answer: 2. Grinspan syndrome

Explanation: Grinspan's syndrome is an interesting association of lichen planus, diabetes mellitus and vascular hypertension.